Virus that has association with anal warts?
1. HPV
2. HIV
3. LMV
4. EBV

Correct answer: 1. HPV

Explanation: Ans. a (HPV) (Ref. Bailey and Love 24th ed., 61.6)WART# It is a HPV-induced tumor-like lesion known to spontaneous resolution.# Transmission is by direct or intimate contact, the virus material usually being inoculated through an abrasion.# It is well recognised that patients with immune deficiencies develop widespread resistant warts.# They tend to occur on sites of trauma, such as the beard area, hands, genital region and feet.# Warts are more common in children and young adults.# Plantar warts occur on the sole and are usually multiple.# Curettage and diathermy give excellent results, as does cryotherapy, but the latter is often accompanied by pain.# The irritant 50 per cent podophyllin in liquid paraffin gives good results.# Use of liquid nitrogen is easier and is more effective. Recalcitrant lesions may respond to 585-nm pulsed dye laser.# Venereal warts and moist warts (papillomata acuminata) occur in the genital region.# Orf is caused by the virus that produces pustular dermatitis in sheep.ANAL WARTS# These are usually sexually transmitted, although anoreceptive intercourse is probably not necessary.# Rx: local scissor excision or destruction by some other local method, for example, diathermy or laser.# Less extensive wart infection can be controlled by application of podophyllin.# The wart virus (human papilloma virus) is able to incorporate in the human genome and cancer may develop.# The risk of progression of this intraepithelial neoplasia to invasive anal malignancy is small.